A boy with skin ulcer on leg, culture reveals beta hemolysis. Cultures from school children with sore throat some days back also revealed beta hemolysis. What is the similarity between both-
1. Mec A gene is related to it
2. M protein is same
3. C carbohydrate antigen is same
4. Strains causing both are same

Correct answer: 3. C carbohydrate antigen is same